Not a contraindication for resection of head of pancreas:
1. Liver metastasis
2. Ascites
3. Peritoneal seedings
4. Involvement of major artery <180 degree

Correct answer: 4. Involvement of major artery <180 degree

Explanation: Ans. (d) Involvement of major artery <180 degreeRef: Sabiston Page 1546/ 20th editionOn CT scan the tumors are divided into resectable, Borderline resectable and Unresectable tumors:Unresectable tumors:* Arterial involvement more than 180 degrees* Ascites* Peritoneal mets* Lymph node mets outside the operation areas* Liver mets.